When nitrates are combined with calcium channel blockers:
1. Arterial pressure will decrease
2. Heart rate will increase
3. Ejection time will decrease
4. End-diastolic volume will increase

Correct answer: 1. Arterial pressure will decrease

Explanation: Nitrates primarily decrease preload, while CCBs have a greater effect on afterload. Their concurrent use may decrease cardiac work to an extent not possible with either drug alone. This combination may be especially valuable in severe vasospastic angina. Eg for nitrates: GTN CCBs-amlo,felo,clevidipine, verapamil, diltiazem K D Tripathi: essentials of medical pharmacology; edition 6; pg no:533